When porcelain is baked against metal, it should possess a
1. high fusion expansion
2. high fusion temperature
3. linear coefficient of thermal expansion less than, but close to that of metal
4. linear coefficient of thermal expansion greater than, but close to that of the metal

Correct answer: 3. linear coefficient of thermal expansion less than, but close to that of metal